Regarding Osteosarcoma which one is true
1. Affects people in 5th or 6th decade
2. Occurs due to proliferation of osteoclast
3. Lymphatic metastasis is most common
4. Sunray appearance indicates new bone-formation

Correct answer: 4. Sunray appearance indicates new bone-formation

Explanation: (D) Sun-ray appearance indicates new bone-formation # In its classic (intramedullary) form, Osteosarcoma is a highly malignant tumour arising within the bone an spreading rapidly outwards to the periosteum and surrounding soft tissues. It is said to occur predominantly in children and adolescents.> X-ray appearances are variable: hazy osteolytic areas may alternate with unusually dense osteoblastic areas. The endosteal margin is poorly defined. Often the cortex is breached and the tumour extends into the adjacent tissues; when this happens, streaks of new bone appear, radiating outwards from the cortex - the so-called 'sunburst' effect. Where the tumour emerges from the cortex, reactive new bone forms at the angles of periosteal elevation (Codman's triangle). While both the sunburst appearance and Codman's triangle are typical of osteosarcoma, they may occasionally be seen in other rapidly growing tumours.